Which of the following lesion is often multiple and are distinguished from Periapical abscess by their association with vital teeth?
1. Hypercementosis
2. Periapical cemental dysplasia
3. Myxofibroma
4. Peripheral ossifying fibroma

Correct answer: 2. Periapical cemental dysplasia

Explanation: The term periapical osseous dysplasia (POD) has replaced periapical cemental dysplasia. 
The involved teeth are vital, and the patient usually has no history of pain or sensitivity. The lesions usually come to light as an incidental finding during a periapical or panoramic imaging examination performed for other purposes. The lesions can become quite large, causing a notable expansion of the alveolar process, and may continue to enlarge slowly.
Oral radiology ; White and Pharaoh 7th edition page no: 408